Hand-foot syndrome is seen in ?
1. Frost bite
2. Sickle cell disease
3. Raynaud's phenomenon
4. Thalassemia

Correct answer: 2. Sickle cell disease

Explanation: Ans. is 'b' i.e., Sickle cell disease Dactylitis, often referred to as hand-foot syndrome, is frequently the 1st manifestation of pain in children with sickle cell anemia, occurring in 50% of children by 2 yr of age. Dactylitis is caused by blocked blood circulation. Symptoms include extreme pain and tenderness, usually with swelling. An episode may last 1 to 4 weeks Requires palliation with pain medication, often acetaminophen with codeine, Note- Hand-foot syndrome, also called palmar-plantar erythrodysesthesia, is a side effect of some types of chemotherapy. Hand-foot syndrome occurs when drugs used to treat the cancer affect the growth of skin cells or capillaries (small blood vessels) in the hands and feet. Once the drug is out of the blood vessels, it damages the surrounding tissues. This can cause symptoms of hand-foot syndrome that range from redness and swelling to difficulty when walking